Loading dose depends on the following factors except:
1. Drug concentration to be achieved
2. Volume of distribution
3. Clearance of the drug
4. Bioavailability of drug

Correct answer: 3. Clearance of the drug

Explanation: * Loading dose= volume of distribution x target plasma concentration/fractional bioavailability. * Maintenance dose= clearance x target plasma concentration/fractional bioavailability. * So the answer is clearance as it determines maintenance dose instead of loading dose.